Synchysis means
1. Pale bony disc
2. Detachment of vitreous
3. Liquefaction of the vitreous
4. Black spots in front of the eyes

Correct answer: 3. Liquefaction of the vitreous

Explanation: Synchysis means Liquefaction of the vitreous.